Which of the following sites is responsible for the amnestic defect in Wernicke's Korsakoff syndrome:
1. Mamillary body
2. Thalamus
3. Periventricular Grey matter
4. Hippocampus

Correct answer: 2. Thalamus

Explanation: The Amnestic effect in Wernicke's Korsakoff Syndrome is related to lesions in the dorso-medial nuclei of the thalamus. REF: Harrison book of internal medicine 21ST EDITION